Commonest cause of bronchiolitis:
1. RSV
2. Entero virus
3. Pneumococcus
4. Hemophilus

Correct answer: 1. RSV